Following fracture of the root, the reaction to test of pulp vitality may be negative for as long as ………..weeks
1. 6-8 weeks
2. 10-12 weeks
3. 20-24 weeks
4. 1-2 weeks

Correct answer: 1. 6-8 weeks